In hypovolemic shock which organ should be assessed for determining under-perfusion?
1. Kidney
2. Heart
3. Lung
4. Liver

Correct answer: 1. Kidney

Explanation: In hypovolemic shock, kidney has to be assessed for determining under perfusion (Best clinical indicator of tissue perfusion- Urine output)